Battered baby syndrome is associated with
1. Subdural hematoma
2. Extradural hematoma
3. Subarachnoid hematoma
4. Acute bleed

Correct answer: 1. Subdural hematoma

Explanation: Battered child syndrome, shaken baby syndrome, and non-accidental trauma are all terms to describe the complex of non-accidental injuries in infants and young children as a result of abuse. Subdural hematoma can occur as a result of severe angular acceleration, deceleration and direct impact as the head is shaken voilently and due to rupture of bridging veins.